Mode of transmission of Q-fever is:
1. Bite of infected louse
2. Bite of infected tick
3. Inhalation of aerosol
4. Bite of infected mice

Correct answer: 3. Inhalation of aerosol

Explanation: Ans. is 'c' i.e., Inhalation of aerosolRef: Harrison, 19th/e, p. 1154; Ananthanarayan, 9th/e, p. 405)Transmitted without arthropod (respiratory mode).